Subepidermal bullae is seen in -
1. Pemphigus vulgaris
2. Darriers disease
3. Bullous pemphigoid
4. HSV infection

Correct answer: 3. Bullous pemphigoid

Explanation: Ans. is 'c' i.e., Bullous pemphigoid 1 Immunobullous disorders due to autoimmunity (also called primary blistering disease)A) IntraepidermalB) Subepidermalo Pemphiguso Bullous pemphigoid# Pemphigus vulgariso Dermatitis herpatiformis# Pemphigus foliaceouso Epidermolysis bullosa acquisita# Pemphigus vegetans # Pemphigus erythematosus 2 Mechanobullous disorders (due to defect in structure and organization of epidermis or dermoepidermal junction)o Epidermolysis bullosao Bullous ichthyosiform erythroderma3.Other disorders1. Infections - VZV, HSV, Bullous impetigo. Staphylococcus scalded skin syndrome2. Metabolic - Porphyria. Diabetes. Hemodialysis3. Drug eruptions - Fixed drug eruption, Stevens-johnson syndrome, Erythema multiforme.